Which of the following group constitute Frey's syndrome
1. Hyperhydrosis, enophthalmos and miosis
2. Anhidrosis, enophthalmos and miosis
3. Redness and sweating over the auriculotemporal during meal
4. Pain over the distribution of the auriculotemporal nerve during meal

Correct answer: 3. Redness and sweating over the auriculotemporal during meal